Which of the following has small representation in somatosensory area of cerebral cortex -
1. Lips
2. Thumb/fmgers
3. Tongue
4. Trunk

Correct answer: 4. Trunk

Explanation: Ans. is 'd' i.e., Trunko A distinct topographic represention of the body can be demonstrated in somatosensory area-1.o Each side of the cortex receives sensory information from the opposite side of the body only (contralateral representation).o The body is represented upside down (vertical) in the postcentral gyrus, i.e. the face is represented at the foot of the gyrus whereas the legs and feet are represented at the top extending on the medial surface.o Some parts of body like face (especially lips, tongue) and fingers have a proportionately large representation than the other areas like the trunk. The cortical representation of the part of the body is proportionate to its innervation densitv (number of sensory receptors) rather than its size.Somatosensory cortex